A patient with acute viral hepatitis should undergo the following tests except?
1. IgM- anti HAV
2. IgM- anti- HBcAg
3. Anti-HCV antibody
4. Anti- HDV antibody

Correct answer: 4. Anti- HDV antibody

Explanation: For Acute Viral hepatitis patient should evaluable for Hep A Hep B Hep C IgM anti HAV lgM anti HBcAg Anti-HCV antibody *If Hep A, B, C is negative then it is Hep D Important Diagnostic Test in Common Liver Disease DISEASE DIAGNOSTIC TEST Hepatitis A Anti-HAV IgM Hepatitis B Acute Chronic HBsAg and anti-HBc IgM HBsAg and HBeAg and/or HBV DNA Hepatitis C Anti-HCV and HCV RNA Hepatitis D (delta) Anti-HDV Hepatitis E Anti-HEV IgM and HEV RNA